Which of the following is considered to be effective treatment ofType I hepatorenal syndrome?
1. Hemodialysis
2. Peritoneal dialysis
3. Large dose diuretic therapy
4. Albumin infusion with terlipressin

Correct answer: 4. Albumin infusion with terlipressin

Explanation: Davidson's principles and practice of medicine 22nd edition. *Treatment consist of albumin infusions in combinations with terlipressin.